A developmental abnormality characterized by the presence of fewer than the usual number of teeth is
1. Anodontia
2. Oligodontia
3. Microdontia
4. Dens in dente

Correct answer: 2. Oligodontia